Bioterrorism group A agent
1. Q fever
2. Typhus fever
3. Brucella
4. Anthrax

Correct answer: 4. Anthrax